Which of the following does not act as a second messenger
1. Cyclic AMP
2. Inositol triphosphate
3. Diacycglycerol
4. G protein

Correct answer: 4. G protein

Explanation: Ref-KDT 6/e p48 Cyclic AMP,IP3 and DAG a second messenger where does G proteins are first messengers.IP3 and DAG increases the release of Ca+2 that acts as a third messenger